The primary reason for the use of drug combination in the treatment of tuberculosis is to :
1. Ensure patient compliance with the drug regimen
2. Enhance activity against metabolically inactive mycobacteria
3. Delay or prevent the emergence of resistance
4. Provide prophylaxis against other bacterial infections

Correct answer: 3. Delay or prevent the emergence of resistance